A patient with sinus infection develops chemosis, B/L proptosis and fever,tue daignoisis goes in our of:
1. Lateral sinus thrombosis
2. Frontal lobe abscess
3. Cavernous sinus thrombosis
4. Meningitis

Correct answer: 3. Cavernous sinus thrombosis

Explanation: Features of cavernous sinus thrombosis: Onset of cavernous sinus thrombophlebitis is abrupt with chills and rigors. Patient is acutely ill. Eyelids get swollen with chemosis and proptosis of eyeball. Cranial nerves III, IV and VI which are related to the sinus get involved individually and sequentially causing total ophthalmoplegia. Pupil becomes dilated and fixed, optic disc shows congestion and oedema with diminution of vision. Sensation in the distribution of V1 (ophthalmic division of CN V) is diminished. CSF is usually normal Ref : Dhingra 7e pg 226.